In which of the following clinical conditions, use of anticoagulants provide maximum benefit
1. Prevention of recurrences of myocardial infarction
2. Prevention of venous thrombosis and pulmonary embolism
3. Cerebrovascular accident
4. Retinal artery thrombosis

Correct answer: 2. Prevention of venous thrombosis and pulmonary embolism

Explanation: Anticoagulants are mainly used for prophylaxis of venous thrombosis (DVT and pulmonary embolism).
Antiplatelet drugs are used to prevent arterial thrombosis (MI and stroke).